All are seen in carpal tunnel except -
1. Median nerve
2. Ulnar nerve
3. FPL
4. FDP

Correct answer: 2. Ulnar nerve

Explanation: Ans. is 'b' i.e., Ulnar nerve o Contents of carpal tunnel are 1 nerve and 9 tendons :-Median nerve4 tendons of flexor digitorum profunds.4 tendons of flexor digitorum superficialis.1 tendon of flexor pollicis longus.